Closure of Neural Tube begins at which of the following levels?
1. Cephalic end
2. Caudal end
3. Cervical Region
4. Thoracic Region

Correct answer: 3. Cervical Region

Explanation: Neural tube closure starts at 23rd day of embryo and is completed by 27th day. It begins in the future cervical region and continues caudally and cranially. Ref: Basic Clinical Neuroscience, 2nd Edition, Page 299; Color Atlas of Neuroscience: Neuroanatomy and Neurophysiology, Germany, Page 58